Serotonin is synthesized from-
1. Tiyrosine
2. Alanine
3. Tryptophan
4. Glycine

Correct answer: 3. Tryptophan

Explanation: Ans. is 'c' i.e., Tryptophan o Hvdroxytryptamine (serotonin) is synthesized from tryptophan.